Double bubble sign in children seen in AJE ?
1. Ladds band
2. Annular pancreas
3. Pancreatic pseudocyst
4. Diaphragmatic hernia

Correct answer: 4. Diaphragmatic hernia

Explanation: Ans. is 'd' i.e., Diaphragmatic hernia o Obstruction of 2nd part of duodenum cause double bubble sign on plain abdominal radiograph. o It may be due to - i) Annular pancreas ii) Pancreatic pseudocyst iii) Ladds band iv) Tumor in the head of the pancrease